Bacterial vaginosis does not include?
1. Profuse creamy discharge
2. Clue cells present
3. Positive whiff test
4. Absent leucocytes

Correct answer: 1. Profuse creamy discharge

Explanation: Profuse creamy discharge REF: 12th edition of Novak's Gynecology p. 192, shaw 13th ed p 129, Repeat in December 2011 Bacterial vaginosis is diagnosed on the basis of the following findings: A fishy vaginal odour, which is particularly noticeable following coitus, and vaginal discharge are present. Vaginal secretions are gray and thinly coat the vaginal walls. The pH of these secretions is higher than 4.5 (usually 4.7 to 5.7). Microscopy of the vaginal secretions reveals an increased number of clue cells, and leukocytes are conspicuously absent. In advanced cases of BV, more than 20% of the epithelial cells are clue cells. The addition of KOH to the vaginal secretions (the "whiff" test) releases a fishy, amine-like odor. Culture of G. vaginalis is not recommended as a diagnostic tool because of its lack of specificity.